Patient with thin painless otorrhoea, multiple perforations of the tympanic membrane and failure to respond to antimicrobial treatment. What is the most probable causative organism?
1. Mycobacterium tuberculosis
2. Staphylococcus aureus
3. Candida albicans
4. Aspergillus fumigatus

Correct answer: 1. Mycobacterium tuberculosis

Explanation: Thin painless otorrhoea, multiple perforations of the tympanic membrane and failure to respond to antimicrobial treatment are the features of tubercular otitis media and it is caused by Mycobacterium tuberculosisRef: PL Dhingra, Diseases of Ear, Nose & Throat, 7th edition, pg no. 81 - 82